A patient is suffering from pneumonia. Laboratory study shows acid-fast filamentous bacterium. The causative organism is ?
1. M. tuberculosis
2. Actinomyces
3. Nocardia
4. Mycobacterium Avium intracellulare

Correct answer: 3. Nocardia

Explanation: Ans. is 'c' i.e., Nocardia Symptoms of pneumonia by a filamentous acid fast bacterium suggest the diagnosis of Nocardia.